All are TRUE about paroxysmal cold hemoglobinuria (PCH), EXCEPT:
1. It occurs mostly in children
2. It is self limited
3. Donath Landsteiner antibody is present
4. Lysis of blood cells occur only at low temperature

Correct answer: 4. Lysis of blood cells occur only at low temperature

Explanation: Paroxysmal cold hemoglobinuria is a rare form, occurs mostly in children, triggered by viral infection. Donath Landsteiner antibody binds to red cells only at low temperature, but lysis takes place when the temperature is shifted to 37 celcius. Ref: Harrison's principles of internal medicine, 18th edition; Page 882